Commonly done treatment of single perforation of typhoid in ileum.
1. Direct closure
2. Graham patch
3. Resection of ileum
4. Ileostomy

Correct answer: 1. Direct closure

Explanation: Ans. (a) Direct closureRef: Sabiston 20th edition, Page 1267Typhoid intestinal perforation:* Intestinal perforation occurs in 2% cases.* Typically, it is usually a single perforation in Peyer's patch areas* Simple closure is the treatment of choice* Multiple perforation occurs in 25% cases* In such cases of multiple perforations resection is done followed by anastomosis or exteriorization depending upon the case